On opening the mouth, if the jaw deviates to the right side, it indicates the paralysis of:
1. Right lateral pterygoid
2. Left lateral pterygoid
3. Right medial pterygoid
4. Left medial pterygoid

Correct answer: 1. Right lateral pterygoid